Most common cause of spontaneous abortion is?
1. Chromosomal abnormality
2. Uterine malformations
3. Immunological
4. Infections

Correct answer: 1. Chromosomal abnormality

Explanation: Chromosomal abnormality REF: Dutta 6th ed p. 159 Most common cause of spontaneous abortion is chromosomal abnormality, trisomy of chromosome 16.